The antiretroviral drug that can bind to both CCR2 and CCR5 is -
1. Cenicriviroc
2. Vicriviroc
3. Ipalizumab
4. Bevirimat

Correct answer: 1. Cenicriviroc

Explanation: Cenicriviroc
Cenicrivirocbinds to both CCR2 and CCR5. It is a fusion / entry inhibitor. CCR2 binding may contribute to anti-inflammatory effect.
Vicriviroc binds to CCR5. It is a fusion / entry inhibitor. Not found to be efficacious in clinical trials, hence further trials were discontinued.
Ipalizumab is a monoclonal antibody against CD4. It is a fusion / entry inhibitor
Bevirimat is a maturation inhibitor. It binds to gag protein